A 38 year old woman being treated for hypertension and diabetes has the sudden onset of swelling and tenderness of the wrists and knees. On examination she is febrile and flushed. A friction rub can be heard at the left lower sterna border. Which of the following drug is most likely the cause of these findings?
1. Metformin
2. Hydralazine
3. Minoxidil
4. Nitroprusside

Correct answer: 2. Hydralazine

Explanation: Hydralazine Drug induced lupus refers to a form of lupus caused by medication, it causes some symptoms similar to those of SLE (arthritis, rash, fever, and chest pain, but no kidney involvement ) that go away when the drug is Stopped common medications that may cause drug-induced lupus include hydralazine (Apresoline), procainamide (Procan, Pronestyl), methyldopa (Aldomet), quinidine (Quinaglute), isoniazid (INH), and some anti-seizure medications such as phenytoin (Dilantin) or carbamazepine (Tegretol) compications are more common in females. It is also more common in 'slow acetylators' since the metabolism of hydralazin is reduced in these patients.